The difference in the colour between sub and supragingival calculus is related to?
1. pH of plaque
2. Death of leucocytes
3. Hemotysis of erythrocytes
4. All of the above

Correct answer: 3. Hemotysis of erythrocytes